Drug of choice for acute gout is :
1. Colchicine
2. Indomethacin
3. Allopurinol
4. Dexamethasone

Correct answer: 2. Indomethacin